Systematic interactive forecasting method for obtaining consensus forecasts from a panel of independent experts:
1. Delphi method
2. Gaussian method
3. ETE method
4. Mini-Delphi method

Correct answer: 1. Delphi method

Explanation: Delphi method: Is a 'systematic interactive forecasting method' for obtaining consensus forecasts from a panel of independent experts.
Method: The carefully selected experts answer questionnaires in two or more rounds.
After each round, a facilitator provides an anonymous summary of the experts' forecasts from the previous round as well as the reasons they provided for their judgments. Thus, participants are encouraged to revise their earlier answers in light of the replies of other members of the group.